In TCA, substrate level phosphorylation takes place in:
1. Alpha Ketoglutarate to succinyl CoA
2. Succinyl CoA to Succinate
3. Succinate to fumarate
4. Oxaloacetate to citrate

Correct answer: 2. Succinyl CoA to Succinate